Which joint is spared in Rheumatoid arthritis -
1. MP joints of hand
2. DIP joints of finger
3. PIP joints of finger
4. Atlanto-axial joint

Correct answer: 2. DIP joints of finger

Explanation: Of particular importance is the sparing of distal interphalangeal joint.